Epithelial lining of Bartholins duct is :
1. Columnar
2. Transitional
3. Cuboidal
4. Squamous

Correct answer: 2. Transitional

Explanation: Transitional Epithelium